Motor area of Bradman is area
1. 1
2. 4
3. 5
4. 7

Correct answer: 2. 4

Explanation: (B) 4